The duration of spinal anaesthesia is based directly on:
1. Dose
2. Height
3. Age
4. Total body fat

Correct answer: 1. Dose

Explanation: The duration of spinal anesthesia depends upon the dose The level and duration is directly based on dose of the drug